Which of the following porphyrin is soluble in water & excreted in urine?a) Protoporphyrinb) Delta-ALAc) Coproporphyrind) Uroporphyrin
1. abc
2. acd
3. cd
4. ad

Correct answer: 3. cd

Explanation: Uroporphyrin, the most water-soluble of the porphyrins, is excreted predominantly in urine, coproporphyrin mostly in urine and partly in bile, whereas protoporphyrin, the least soluble, is excreted only in the bile.